The maximum risk of developing foetal varicella syndrome is when the exposure is between what period of pregnancy?
1. < 9 weeks
2. 13 -20 weeks
3. 20-24 weeks
4. 4 days before delivery

Correct answer: 2. 13 -20 weeks

Explanation: 13-20 weeks is the critical period for foetal varicella syndrome.